In school water fluoridation programme, the level of fluoride as compared to the level in community water fluoridation is:
1. Less
2. More
3. Same
4. Depends on the mean weight of the children

Correct answer: 2. More

Explanation: The amount of fluoride added to school drinking water must be greater than that used in communal water supplies, i.e., 4.5 times the optimum concentration, since children are in school for shorter hours and less water is consumed during that time.

Essentials of preventive and community dentistry
Soben Peter
5th edition
page number 226